'Soiling Index' is an indicator of
1. Water pollution
2. Air pollution
3. Soil pollution
4. Food pollution

Correct answer: 2. Air pollution

Explanation: Ans. b (Air pollution) (Ref. Park Textbook of Preventive & Social Medicine 22nd/pg. 683)SOILING INDEX (Smoke Index) is indicator of air pollution.Other indicators of air pollution are:# SO2# Grit & Dust Measurement# Coefficient of Haze# Air Pollution IndexNote: The best indicators of air pollution are sulphur dioxide, smoke and suspended particles.